Milkman's Fracture is a type of -
1. Pseudofracture
2. Clavicular fracture
3. Humeral fracture
4. Metacarpal fracture

Correct answer: 1. Pseudofracture

Explanation: Osteomalacia means softening of bones.Its primarilay due to deficiency of vitamin D.This results in failure of turnover of calcium and phosphorous in organic matrix of bone. C/f: Bone pains-backache and diffuse bone pains Muscular weakness:patient feels very weak.tetany may manifest as carpopedal spasm and facial twiching. Spontaneous fractures may occur in spine and may result in kyphosis. In Xray :diffuse retarction of bones. LOOSERS ZONE: thatis psuedo fractures-radioluscent zones occuring at sites of stress .common sites are pubic rami,axillary norder of scapula,ribs and medial cortex of neck of femur.these are caused by rapid retarction and slow mineralisation and may be surrounded by a collar of callus.Triradiate pelvis in females. REF: Essential Orthopaedics,Maheswari &Mhaskar,Edition 5.Pg no:312